All are benefits of prone ventilation except-
1. Prone position recruits dorsal lung regions where greater lung mass is located
2. Displacement of cardiac mass away from lung tissue
3. Homogenous distribution of ventilation in prone position
4. Proper tolerance of enteral feeding

Correct answer: 4. Proper tolerance of enteral feeding

Explanation: Prone position (PP) has been used since the 1970s to treat severe hypoxemia in patients with ARDS because of its effectiveness at improving gas exchange. Compared with the supine position (SP), placing patients in PP effects a more even tidal volume distribution, in part, by reversing the vertical pleural pressure gradient, which becomes more negative in the dorsal regions. PP also improves resting lung volume in the dorsocaudal regions by reducing the superimposed pressure of both the heart and the abdomen. In contrast, pulmonary perfusion remains preferentially distributed to the dorsal lung regions, thus improving overall alveolar ventilation/perfusion relationships. Moreover, the larger tissue mass suspended from a wider dorsal chest wall effects a more homogeneous distribution of pleural pressures throughout the lung that reduces abnormal strain and stress development.